HOME is
1. Aversive technique
2. Remodelling
3. Psychologic improvement
4. None

Correct answer: 1. Aversive technique